Brown atrophy is due to accumulation of:
1. Melanin
2. Hemosiderin
3. Hematin
4. Lipofuscin

Correct answer: 4. Lipofuscin

Explanation: ANSWER: (D) LipofuscinREF: Pathology by Edward E Goljan page 7The combination of an atrophic heart and lipofuscin accumulation is referred to as brown atrophy. Lipofuscin is a "wear and tear" pigment that commonly deposits within hepatocytes, splenocytes, and myocardial cells